Greenish discolouration at putrefaction is due to-
1. MetHb
2. Sulph-meth Hb
3. Deoxy Hb
4. Carboxy Hb

Correct answer: 2. Sulph-meth Hb

Explanation: Ans. is 'b' i.e., Sulph-meth Hb Signs of putrefactiono The signs and effects of putrefaction are as followsColour changesThe earliest sign of decomposition is greenish discoloration of body, seen in right iliac fossa externally and under liver internally. This is due to involvement of caecum. Which contains more liquid and is full of bacteria. In these areas, it appears in 12-18 hours and slowly spreads to whole body in 24-48 hours. Greenish discoloration is due to formation of sulph-meth-haemoglobin,Morbling occurs when Hb dissociates from RBCs and the colour of Hb is taken up by vessels, which are seen as prominent lines having purple or green or brown colour. Marbling occurs in 24-48 hours.Formation of foul smelling gasesDue to action of bacteria, foul smelling gases are formed, e.g. SO., H^S, ammonia, methane and CO,.Effects of gasesBloating up of body occurs in 34-48 hours. At the same time following changes occurs :i) Appearance of stomach contents and froth on nose and mouth.ii) Degloving and destocking with appearance of putrifactive blisters,iii) Emptying of heart due to pressure of gas.In 48-72 hours prolapse of rectum and uterus occur and postmortem delivery may occur if the dead woman is pregnant. Color of postmortem staining also changes to brown and finally to black. False rigidity (putrefactive rigidity ) may occur at this time.Appearance of maggotsFlies lay their eggs in wrounds, exposed natural orifices and exposed moist parts of the body and folds of skin, e.g. neck, axilla, nostrils, mouth etc. Flies lay eggs in 6-12 hours after death and these eggs change in larva (maggot) in 1 -2 days. Thus maggots appear in 2-3 days after the death. After further 4-5 days, the maggots change into pupa, which convert into adult flies in next 3-5 days. Thus adult flies will be coming out of the body after total 8-12 days of death. Thus appearance of maggot determine the time since death.Other late changesIn 3-5 days : Nails and teeth become loose and can be pulled out, sutures of skull may separate.In 7-12 days: Liquefaction of body (colliquative putrefaction) occurs.In 1-3 months : Skeletonization of dead body occurs.Finally: Bones also decompose : Exposed bones in 1-5 years and deep burried bone (> 2 meters) in 25-100 years.Internal changesLiver becomes spongy and is called as foamy or Swiss cheese or honeycombed liver.In 7-12 days lequefaction of internal organs occur.Floatation of body (if body is in water)Floatation of body occurs due to accumulation of sufficient putrefactive gases. Abdomen is above (due to gases) and spine is below during floatation. Time required for floatation is ordinarily 24 hours after death in summers and 2-3 days in winter. Factors affecting floatation are :-i) Causing early floatation : Newborn mature infant, females, in summer, clothed body, obese, in sea water and in still pond wrater.ii) Causing delayed floatation : Still birth/i immature newrbom, male, in winter, naked body, thin built, in fresh water and in running stream water.o inspiration and expiration before death has no effect on floatation as floatation is due to putrefactive gases (not due to respiratory air).